. medical uses of cannabis is all except
1. anti epileptics
2. anti emetic
3. anti glaucoma
4. anti platelet

Correct answer: 4. anti platelet

Explanation: Medical uses of cannabis Analgesia, it is used as analgesic Glaucoma, it is used to dilation of vessels and hence can be used to treat in glaucoma Nausea and vomiting, it is used as anti-emetic involved in the management of cancer chemotherapy induced emesis Wasting syndrome and appetite stimulant....dronabinol Epilepsy Ref.KAplon and Sadock, synopsis of psychiatry, 11th edition, pg no.645